The decrease in cell size refers to
1. Atrophy
2. Metaplasia
3. Hyperplasia
4. Hypertrophy

Correct answer: 1. Atrophy

Explanation: Shrinkage in the size of the cell by the loss of cell substance is known as atrophy
◆ Although atrophied cells have diminished its function, they are not dead